Resting membrane potential is generated by
1. Na+
2. K+
3. Cl-
4. CA2+

Correct answer: 2. K+

Explanation: Potassium ion is responsible for resting membrane potential. When concentration of potassium ion is varied in the extracellular fluid, resting membrane potential changes. But not with Na ion. (REF. TEXTBOOK OF MEDICAL PHYSIOLOGY GEETHA N 2 EDITION, PAGE NO - 23)